The discontinuous DNA replication that occurs during replication is catalyzed the production of small DNA segments termed
1. Okazaki fragments
2. Crick strands
3. Watson fragments
4. Tsuneko strands

Correct answer: 1. Okazaki fragments

Explanation: Because the DNA strands are antiparallel, the polymerase functions asymmetrically. On the leading (forward) strand, the DNA is synthesized continuously. On the lagging (retrograde) strand, the DNA is synthesized in short fragments, the so-called Okazaki fragments Harper30e pg: 383